Herpes resistant to acyclovir is treated by –
1. Foscarnet
2. Lamivudine
3. Ganciclovir
4. Valacyclovir

Correct answer: 1. Foscarnet

Explanation: Foscarnet is approved for Acyclovir resistant mucocutaneous HSV infection.